Nuclei controlling circadian rhythm:
1. Supra chiasmatic nuclei
2. Arcuate
3. Paraventricular
4. Vestibulocerebellar

Correct answer: 1. Supra chiasmatic nuclei